The drug which triggers the production of antibody against red cell antigen causing autoimmune hemolysis is:
1. Methyldopa
2. Penicillin
3. Erythromycin
4. Dapsone

Correct answer: 1. Methyldopa

Explanation: The drug which triggers through mimicry the production of autoantibodies against red cell membranes and induce hemolysis is Mehyldopa. Ref: Harrison's principles of internal medicine, 18th edition; Page: 881.